Hypercalcemia is caused by which drug :
1. Bumetanide
2. Spironolactone
3. Thiazide
4. Furosemide

Correct answer: 3. Thiazide